Which is not a germ cell tumour :
1. Dysgerminoma
2. Teratoma
3. Granulosatheca cell tumour
4. Embryonal cell cercinoma

Correct answer: 3. Granulosatheca cell tumour

Explanation: Granulosatheca cell tumour